Drug of choice for treatment of acute asthmatic attacks is -
1. Leukotriene antagonists
2. Lipoxygenase inhibitors
3. Beta 2 agonists
4. Anticholinergics

Correct answer: 3. Beta 2 agonists

Explanation: Ans. is 'c' i.e., Beta 2 agonists The drug of choice for acute asthma short acting $ agonist. The drug of choice fir chronic asthma Inhaled corticosteroids.